Mechanism of action tacrolimus is -
1. Inhibition of calcineurin
2. Antimetabolite
3. mTOR inhibitor
4. Inhibition of DNA synthesis

Correct answer: 1. Inhibition of calcineurin

Explanation: Ans. is 'a' i.e., Inhibition of calcineurin Tacrolimuso It is a macrolide immunosuppressant agent.o Its mechanism of action is similar to cyclosporine, i.e. inhibition of transcription of IL-2 and T-cell proliferation, but it binds to other immunophiiin called FKBP (in contrast to cyclosporine which binds to cyclophilin). Subsequent steps are some, i.e. inhibition of calcineurin, which inhibits T cell activation,o Tocrolimus is 10-100 times more potent than cyclosporine,o It is also more toxic than cyclosporin.o Adverse effects are nephrotoxicity (most common), neurotoxicity, hyperglycemia (DM).Mechanism of nephrotoxicity - Perigiomerular afferent arteriolar vasoconstrication and reduced GFR.